Rashtriya Swasthya Bima Yojna is
1. Government run insurance scheme for its employees
2. Government run insurance scheme for all citizens
3. Government run insurance scheme for all poor
4. Private insurance company scheme for all poor

Correct answer: 3. Government run insurance scheme for all poor

Explanation: Government run insurance scheme for poor. Reference: RSBY Document, Government of India.